TSH is normal in:
1. Hyperthyroid
2. Euthyroid
3. Hypothyroid
4. Graves

Correct answer: 2. Euthyroid

Explanation: Ans. B: EuthyroidIn hyperthyroidism:Total plasma T3, T4, 3 is highFree plasma T3, T4, 3 is highPlasma TSH is lowIn hypothyroidism:Total plasma T3, T4, 3 is lowFree plasma T3, T4, 3 is lowPlasma TSH is highGraves disease is most common cause of hyperthyroidism.